You are the CMO of a government district hospital. A young girl is brought to you with history of poisoning. It is a case of attempted suicide. Patient and guardian have asked you to keep it a secret. What should you do in the scenario? Note: She was not in critical condition and was cured completely.
1. Treat the patient and inform the police
2. Treat the patient and inform the police only if she dies
3. Since it is a case of attempted suicide you are not bound to inform the police
4. Inform the magistrate

Correct answer: 1. Treat the patient and inform the police

Explanation: Here since you are a doctor in charge of a government hospital you should inform the police. If you were a private doctor you are not bound to inform the police or magistrate in case of suicidal or accidental poisoning. But if the patient dies or food poisoning is suspected or homicidal poisoning is suspected you must inform the police. Ref: Textbook of Forensic Medicine and Toxicology by Narayan Reddy, Edition 23, Page - 27